Migrating motility complex
1. Occurs upon arrival of food in the stomach
2. Begins in the lower part of the small intestine
3. Are initiated by pacemaker cells in the intestine
4. Occurs at a rate of 5 cms per minute from the stomach

Correct answer: 4. Occurs at a rate of 5 cms per minute from the stomach

Explanation: Migrating motility complex refers to the peristaltic wave that begins in esophagus & travels through the entire GIT. -The hormone motilin, released from the endocrine cells within the epithelium of small intestine initiates MMC. -MMC wave travels at a regular rate of 5cm/min. -MMC is abolished immediately after the entry of food into the stomach. Ref: guyton and hall textbook of medical physiology 12 edition page number:443,444,445